The net diffusion of water from one solution of water from one solution through a semipermeable membrane to another solution containing a lower concentration of water is termed
1. filtration
2. diffusion
3. osmosis
4. brownian motion

Correct answer: 3. osmosis

Explanation: Osmosis is defined as the diffusion of water through a semipermeable membrane to a solution with a lower concentration of water. 
Filtration is the process in which fluids are pushed through biologic membranes by unequal processes. 
Diffusion (Brownian motion) is the random kinetic motion causing atoms and molecules to spread out evenly.